Parotid duct opens at
1. 1st PM
2. 1st molar
3. 2nd upper molar
4. 2nd lower molar

Correct answer: 3. 2nd upper molar